Study time, place, and person of a disease is ________________ study-
1. Descriptive
2. Analytic
3. Association
4. Comparison

Correct answer: 1. Descriptive

Explanation: .DESCRIPTIVE STUDIES are usually the first phase of epidemiological investigation.these studies are concerned with observing the distribution of disease or healthrelated charecteristics in human populations.procedures in descriptive epidsemiology mainly includes,defining the population to be studied,defining the disease under study,describing the disease by time,place,person and measurement of disease. etc. ref:park's textbook of preventive and social medicine,22nd edition,pg no 60